In vitrous what is measured for time since death -
1. Sodium
2. Potaossium
3. Proteins
4. Chloride

Correct answer: 2. Potaossium

Explanation: Steady rise in potassium in vitreous humor after death up to 100 hours. Dr Narayana Reddys Synopsis of Forensic Medicine & Toxicology pg. 75